Yergason's supination sign is seen in lesion of which muscle?
1. Triceps
2. Biceps
3. Brachioradialis
4. Supinator

Correct answer: 2. Biceps

Explanation: Bicipital tendinitis, or tenosynovitis, is produced by friction on the tendon of the long head of the biceps as it passes through the bicipital groove. When the inflammation is acute, patients experience anterior shoulder pain that radiates down the biceps into the forearm. Abduction and external rotation of the arm are painful and limited. The bicipital groove is very tender to palpation. Pain may be elicited along the course of the tendon by resisting supination of the forearm with the elbow at 90deg (Yergason's supination sign).